Laryngeal mask is contraindicated in all except-
1. Oral tumor
2. Ocular surgeries
3. Massive maxillofac ial injury
4. High risk of aspiration

Correct answer: 2. Ocular surgeries

Explanation: Ans. is 'b' i.e., Ocular surgeries Indications of LMA1. As an alternative to intubation wrhere difficult intubation is anticipated (difficult airway).2 To facilitate endo-tracheal intubation in a patient with difficult airw ays.Situations involving a difficult mask fit.Securing airw ay (as cardiopulmonary resuscitation) in emergency where intubation and mask ventilation is not possible.For minor surgeries (short surgeries), where anaesthetist wants to avoid intubation.As a conduit for bronchoscopes, small size tubes, gum elastic bougies.For extra and intra-ocular surgeries including retinopathy surgery in premature infants LMA is particularly useful in ophthalmic surgery as problems created by other two airways are eliminated : -Face mask creates problem in surgical field access due to its size (LMA provides a better access).Endotracheal intubation may cause raised IOT (LMA has no effect).Contraindications of LMA1. Conditions with high risk of aspiration i.e., full stomach patients, hiatus hernia, pregnancy.2. Oropharyngeal abscess or mass (tumor).3. Massive thoracic injury4. Massive maxillofacial trauma